Treatment of choice for Warthin's Tumor
1. Superficial parotidectomy
2. Enucleation
3. Radiotherapy
4. Injection of a sclerosant agent

Correct answer: 1. Superficial parotidectomy

Explanation: The treatment of all benign tumors of the parotid gland is superficial parotidectomy.